Le dance sign is seen in
1. Appendicitis
2. Intussusception
3. Meconium ileus
4. Large bowel obstruction

Correct answer: 2. Intussusception

Explanation: Le dance sign is empty right iliac fossa, seen in Intussusception.